The same screening test is applied to two comunities X and Y;Y shows more false + ye cases as compared to X. The possibility is -
1. High sensitivity
2. High specificity
3. Y community has high prevalence
4. Y community has low prevalence

Correct answer: 4. Y community has low prevalence

Explanation: Ans. is 'd' i.e., Y community has low prevalence o Same test is applied on two communities Sensitivity & Specificity, remain the same.